Drug of choice for pregnant female suspected of having a baby with congenital adrenal hyperplasia
1. Dexamethasone
2. Betamethasone
3. Hydrocortisone
4. Prednisolone

Correct answer: 1. Dexamethasone

Explanation: Refer Goodman Gilman 12/e p 123 To suppress fetal androgen production effectively band consequent virilization Dexamethasone must be initiated before 10 weeks of gestation To treat congenital adrenal hyperplasia is baby hydrocortisone is used.